Bagassosis is due to inhalation of:
1. Cotton dust
2. Silica dust
3. Sugarcane/Bagasse dust
4. Coal dust

Correct answer: 3. Sugarcane/Bagasse dust

Explanation: Ans: C i.e. Sugarcane/ Bagasse dust Bagassosis It is an interstitial lung disease, is a type of hypersensitivity pneumonitis attributed to exposure to moldy molasses (bagasse). Bagassosis has been shown to be due to a thermophilic actinomycetes for which the name thermoactinomycetes sacchari was suggested.